Which of the following does not alter the 'T' stage in breast cancer?
1. Peaud's orange
2. Skin ulceration
3. Pectoral muscle involvement
4. Serratus anterior muscle muscle involvement

Correct answer: 3. Pectoral muscle involvement

Explanation: .Manchester Staging 1. Tumour in the breast, not involving pectoral or deeper plane. Skin involvement if present, it is lesser than the size of tumour. Lymph nodes are not palpable. 2. Same as stage I but with mobile, discrete lymph nodes palpable in the ipsilateral axilla. 3. Tumour fixed to pectoral muscle, or skin involvement more than the tumour size or ipsilateral axillary lymph nodes adherent to each other or fixed. 4. Tumour fixed to the chest wall, 'cancer-en-cuirasse', skin involvement wider than that of the breast, involvement of ipsilateral or contralateral supraclavicular lymph nodes or opposite breast or opposite axillary lymph nodes, spread to bone, lung, liver or inflammatory carcinoma of breast. ref:SRB's manual of surgery,ed 3,pg no 476